Which is the enzyme responsible for adipocere formation?
1. Collagenase
2. Catalase
3. Lecithinase
4. Coagulase

Correct answer: 3. Lecithinase

Explanation: Lecithinase enzyme produced by clostridium welchi is the main enzyme responsible for adipocere formation.